Where was the last case of Smallpox occured?
1. Somalia
2. Libya
3. Sudan
4. Uganda

Correct answer: 1. Somalia

Explanation: The last naturally occurring case was diagnosed in October 1977 in Somalia and the World Health Organization certified the global eradication of the disease in 1980.